The thoracic duct receives tributaries from all of the following except:
1. Bilateral ascending lumbar trunk
2. Left upper intercostal duct
3. Bilateral descending thoracic trunk
4. Right bronchomediastinal lymphatic trunk

Correct answer: 4. Right bronchomediastinal lymphatic trunk

Explanation: D i.e. Right bronchomediastinal lymphatic trunk